A HIV positive patient presents with cough for 10 days. Sputum culture by SDA reveals broad budding yeast, diagnosis:
1. Histoplasma capsulatum
2. Blastomycosis
3. Coccidiodomycosis
4. Paracoccidiomycosis

Correct answer: 2. Blastomycosis

Explanation: In AIDS patients fungal infections by dimorphic fungi are more common. Of the following options all four other dimorphic fungi but the yeast stage with broad-based cells is seen only in blastomycosis histoplasma shows narrow base yeast cells. In coccidioidomycosis endospore, spherules are formed and in paracoccidioidomycosis, Mickey Mouse type of cells are seen.